Which of the following statements regarding naltrexone are true ?
1. It is an opioid antagonist
2. It is used in alcohol dependence
3. It is used to treat opioid dependence
4. All of these

Correct answer: 4. All of these